"WurgStimme" sign refers to?
1. Speaking odd muffled or strangled voice,seen in schizophrenia.
2. Speaking odd muffled or strangled voice,seen in Mania.
3. Areas of hair loss with broken hair seen in Schizophrenia
4. Areas of hair loss with broken hair seen in Mania

Correct answer: 1. Speaking odd muffled or strangled voice,seen in schizophrenia.

Explanation: Speaking odd muffled or strangled voice,seen in schizophrenia is known as "WurgStimme" Sign. Areas of hair loss with broken hair of varying length arranged in a circular pattern,with unaffected hairs surrounding the area of hair loss is finding of Trichotillomania and this sign is known as Friar tuck sign.